Rice contains ?
1. 20% protein
2. 12% of protein
3. 14% of protein
4. 6.8% of Protein

Correct answer: 4. 6.8% of Protein

Explanation: Ans. is `e' i.e., 6.8% of Protein Rice Rice is the staple food of more than half the human race. Nutritive values of rice.